A female patient presents with diffuse alopecia to you. She had suffered from typhoid fever 4 months back. Most probable diagnosis is –
1. Androgenetic alopecia
2. Telogen effluvium
3. Anagen effluvium
4. Alopecia areata

Correct answer: 2. Telogen effluvium